Basic rhythm of respiration is maintained by ?
1. Pneumotaxic centre
2. Pre botzinger complex
3. Dorsal group of neurons
4. Ventral pons group of neurons

Correct answer: 2. Pre botzinger complex

Explanation: Ans. is 'b' i.e., Pre-Botzinger complex